What is the immediate management of vitreous hemorrhage in eye -
1. No treatment
2. Steroids
3. Antibiotics
4. Vitrectomy

Correct answer: 1. No treatment

Explanation: Ans. is 'a' i.e., No treatment Treatment of vitreous haemorrhage :1. Conervative treatment : Bed rest, elevation of patient's head and bilateral eye patches. This will allow the blood to settle down.2. Treatment of the cause : Once the blood settles down, indirect ophthalmoscopy should be performed to locate and further manage the causative lesion such as a retinal break, phlebitis, prolifrative retinopathy, etc.3. Vitrectomy by pars plana route should be considered to clear the vitreous, if the haemorrhage is not absorbed after 3 months.